Fertilization occurs in -
1. uterine cavity
2. Ampulla of fallopian tube
3. Infundibulum of fallopian tube
4. Isthmus of tube

Correct answer: 2. Ampulla of fallopian tube

Explanation: Ans. is 'b' i.e., Ampulla of fallopian tube * The uterine tubes, also known as oviducts or fallopian tubes, are the female structures that transport the ova from the ovary to the uterus each month. In the presence of sperm and fertilization, the uterine tubes transport the fertilized egg to the uterus for implantation.* The infundibulum gives rise to the fimbriae, fingerlike projections that are responsible for picking up the egg released by the ovary.* Fertilization takes place in the ampullary part of the fallopian tube.